Jitteriness can be distinguished from seizures by all of the following EXCEPT:
1. Sensitivity to stimulus
2. Frequency of movement
3. Abnormality of Gaze
4. Autonomic disturbance

Correct answer: 2. Frequency of movement

Explanation: Jitteriness can not be distinguished from seizures by- Frequency of movement Features Jitteriness Seizures Ocular deviation Not seen Ocular deviation seen Stimulus sensitive Stops with passive movement of limb Not stimulus sensitive Autonomic changes Not seen Usually seen